Chorea occurs due to lesion in -
1. Cerebellum
2. Motor cortex
3. Caudate Nucleus
4. Subthalamas

Correct answer: 3. Caudate Nucleus